False about estrogen action ?
1. Stimulates secondery sex characters in female
2. Stimulates osteoclasts
3. Decreases LDL
4. Increases blood coagulability

Correct answer: 2. Stimulates osteoclasts

Explanation: Ans. is 'b' i.e., Stimulates osteoclastsMajor action of estrogen on bone is to inhibit osteoclastic bone resorption. Estrogen blocks the action of IL-6, a potent stimulator of osteoclasts.Estrogen also induces apoptosis of osteoclasts.Other three options are correct.Actions of estrogen have been explained in previous sessions.